All are derivatives of septum transversum except:
1. Falciform ligament
2. Ligamentum teres
3. Coronary ligament
4. Mesentary of Lesser sac

Correct answer: 2. Ligamentum teres

Explanation: B i.e. Ligamentum teres